A 22 years old primigravida presents with suicidal tendency and severe depression in the 1st trimester. Treatment of choice is:
1. Electroconvulsive therapy
2. No treatment is necessary
3. Imipramine
4. Lithium

Correct answer: 1. Electroconvulsive therapy

Explanation: (Refer: Kaplan & Saddock's  CTP P.3290 chap. 31.34a)
(Refer: The Maudsley Prescribing Guidelines 11th Ed  In Psychiatry Chap .7 P.430)
Since, It is a Primigravida with suicidal tendencies here the therapeutic effect has to be immediate . considering the risk of suicide, medications in first trimester ECT is preferred over others